Small for gestational age infants are defined as _______
1. Birth weight of child < 3rd percentile for gestational age
2. Birth weight of a child < 10th Percentile for gestational age
3. Birth weight of a child < 15th percentile for gestational age
4. Birth weight of a child < 25th percentile for gestational age.

Correct answer: 2. Birth weight of a child < 10th Percentile for gestational age

Explanation: Small for gestational age (SGA)
Birth weight < 10th percentile for gestational age
Appropriate for gestational age (AGA)
Birth weight 10th - 90th percentile for gestational age
Large for gestational age (LGA)
Birht weight > 90th percentile for gestational age.